Changes in biological activity occurring daily are
referred as  __________ rhythm:
1. Circadian
2. Circa triginatan
3. Circa sestin
4. Circannual

Correct answer: 1. Circadian